Ankylosing spondylitis may be associated with
1. Atrial fibrillation
2. Pulmonary stenosis
3. Aortic incompetence
4. Mitral stenosis

Correct answer: 3. Aortic incompetence

Explanation: Ref Davidson 23e p1030